True about cerebello pontine angle tumor are :
1. Tinnitus
2. Diplopia
3. Lost corneal reflex
4. All the above

Correct answer: 4. All the above